10% Tumour is
1. Pheochromocytoma
2. Papillary Thyroid Carcinoma
3. Follicular Thyroid Carcinoma
4. Brown’s Tumor

Correct answer: 1. Pheochromocytoma

Explanation: Pheochromocytomas normally obey the “rule of 10”. Hence, they are also called the “10% tumor”. i.e. 10% of pheochromocytomas are: 

Familial. 
Malignant. 
Bilateral. 
Extra-adrenal. 
Seen in children